Singular nerve is a -
1. Superior vestibular nerve supplying posterior semicircular canal
2. Inferior vestibular nerve supplying post semicircular canal
3. Superior vestibular nerve supplying anterior semicircular canal
4. Interior vestibular nerve supplying anterior semicircular canal

Correct answer: 2. Inferior vestibular nerve supplying post semicircular canal

Explanation: As discussed in the preceding text, singular nerve is a branch of inferior vestibular nerve which supplies the posterior semicircular canal.